Overall most common trisomy is
1. Trisomy 21
2. Trisomy 18
3. Trisomy 16
4. Trisomy 13

Correct answer: 3. Trisomy 16

Explanation: Most common Trisomy overall is Trisomy 16. Most common Trisomy in live birth is Trisomy 21.